Obstructive causes of acute renal failure are all Except
1. Bilharzia
2. Duplex ureter
3. Retroperitoneal fibrosis
4. Renal calculi

Correct answer: 2. Duplex ureter

Explanation: Obstructive causes of acute renal failure include:* calculi;* pelvic malignancy;* surgery;* retroperitoneal fibrosis;* bilharzia;* crystalluria.Bailey and love 26e pg: 1284